The development of a color reaction is indicative of a positive result in which of the following assay?
1. Immunofluorescence
2. Flow cytometry
3. Radioimmunoassay
4. Enzyme- linked immunosorbent assay

Correct answer: 4. Enzyme- linked immunosorbent assay

Explanation: ELISA is used routinely for screening patient sera for many different antibodies . Types :- 1. Indirect ELISA - uses color reaction. 2. Sandwhich ELISA - home pregnancy test's 3. Competitive ELISA-> ability to give results for cruder or samples. -Uses Enzyme linked Antigen rather than Enzyme linkedAntibody. -For detection of HIV Antibody.